A 40 year old woman has undergone a Cholecystectomy. The histopathology reveals that she has a 3 cm adenocarcinoma in the body of the gallbladder infiltrating upto the serosa. Which of the following further management would you advise her -
1. Chemotherapy
2. Radiotherapy
3. Radical Chlolecystectomy
4. Follow up with regular ultrasound examinations

Correct answer: 3. Radical Chlolecystectomy